C-3 convertase in alternate complement pathway -
1. C4b2a
2. C3b
3. C3bBb
4. C3a

Correct answer: 3. C3bBb